Ergometrine is not used for initiation of labour because :
1. Slow onset of action
2. Fetal hypoxia
3. Increases blood pressure
4. Act on D2 receptors to cause vomiting

Correct answer: 2. Fetal hypoxia